Site of action of polio virus is
1. Medullary cone
2. Posterior roots
3. Anterior horn of spinal cord
4. Posterior horn of spinal cord

Correct answer: 3. Anterior horn of spinal cord

Explanation: Polio virus acts at motor nerve ending i.e anterior horn cells of spinal cord leads to flaccid paralysis.